Drugs acting on dopamine receptors are all except
1. Dopamine
2. Fenoldopam
3. Dobutamine
4. Haloperidol

Correct answer: 3. Dobutamine

Explanation: -Dopamine It stimulates 3 receptors Receptors Dose of Dopamine for stimulation D1 <2 mg/Kg/min b1 2-10 mg/Kg/min a1 >10 mg/Kg/min -Fenoldopam is dopamine agonist -D1 Used in hypertensive emergency -Dobutamine Does not act on dopamine receptors Mainly act on beta 1 Used in CHF -Haloperidol - typical antipsychotic with D2 blocking action